True about lupus vulgaris – a) Apple jelly nodule at root of noseb) TB of skin & mucosac) Also known as scrofulodermad) ATT is helpful
1. abd
2. bcd
3. abc
4. ab

Correct answer: 1. abd

Explanation: Lupus vulgaris is the most common form of cutaneous (skin and mucosa) tuberculosis.
Blanching with glass slide reveals grey green foci → Apple jelly nodules.
Treatment is anti-tubercular drugs.